True about pagets disease of the nipple is-
1. Always there is underlying carcinoma
2. Often bilateral eczema of nipple seen
3. Histology reveals giant cells
4. Highly malignant

Correct answer: 1. Always there is underlying carcinoma